Characteristic postmortem finding of carbolic acid poisoning is
1. Greenish stomach
2. Yellow charred stomach
3. Brown Leathery stomach
4. Black charred stomach

Correct answer: 3. Brown Leathery stomach

Explanation: Ans. is 'c' i.e., Brown leathery stomach Carbolic acid causes of corrosion of lips, mouth and tongue, with burning of chin and cheeks. Vomiting may not take place owing to the anaesthetic action on stomach. The burnt areas are white in colour which later becomes grey, green or brown.In postmortem examination, stomach looks brownish and leathery.